Which muscles are supplied by obturator nerve-
1. Abductor muscle
2. Adductor compartment
3. Extensor compartment
4. Flexor compartment

Correct answer: 2. Adductor compartment

Explanation: Ans. is 'b' i.e Adductor compartment * Adductor ms are supplied by-obturator nerve** Abductor ms {Gluteus medius, Gluteus minimus)-Superior gluteal nerve** Extensor compartment Gluteus maximum-Inferior glutial nerve*Hamstring-Tibial part of sciatic nerve** Flexor compartment: Psoas major-L2L3*Iliacus-Femoral nerve*Sartorius-Femoral nerve*